A 11-month-old child came for vaccination. He had received Polio vaccine & BCG at birth. What vaccines should be given to him now?
1. BCG, OPV, Hep B
2. Measles, DPT, OPV, Hib, Hep B
3. DPT, OPV, Hib, Hep B
4. DPT, OPV, Hep B

Correct answer: 2. Measles, DPT, OPV, Hib, Hep B

Explanation: - As the baby is of 11 months of age, recommend catch up immunization of all the vaccines which are due till date as per immunization schedule. - IMMUNIZATION SCHEDULE: Age Vaccine At birth BCG, bOPV-0, Hep B-0 6 weeks bOPV-1, Pentavalent-1, Rotavirus-1*, fIPV-1, PCV-1* 10 weeks bOPV-2, Pentavalent-2, Rotavirus-2* 14 weeks bOPV-3, Pentavalent-3, Rotavirus-3*, fIPV-2, PCV-2* 9 months MR-1*, JE-1*, PCV-B*, Vit-A 16-24 months DPT-B1, bOPV-B, JE-2*, MR-2* 5-6 years DPT-B2 11-13 yrs HPV-1*, HPV-2* - As BCG is already given at birth, it is not necessary now Catch up schedule of important vaccines: - DPT (<7 years ) - Hib (<5 years) - OPV (<5 years) - BCG (<1 years) - Hep B (<1 years)